All of the following statements regarding mast cells are true except -
1. They contain heparin proteoglycan
2. Their number is increased in patients with bronchial asthma
3. Disodium cromoglycate brings about their degranulation
4. They receptors for Fe portion of IgE

Correct answer: 3. Disodium cromoglycate brings about their degranulation